The PHP index is designed to
1. Evaluate plaque and calculus on specific tooth surfaces
2. Score plaque on specific tooth surfaces
3. Scores plaque and gingivitis
4. Scores plaque, calculus, gingivitis

Correct answer: 2. Score plaque on specific tooth surfaces